GnRH analogue used In hormonal treatment of carcinoma of prostate Is
1. Goserelin
2. Nilutamide
3. Cyproterone acetate
4. Finasteride

Correct answer: 1. Goserelin

Explanation: Goserelin is a long acting GnRH agonist. It is used in the treatment of prostate cancer. nilutamide is also used in prostate cancer but it is anti androgen not a GNRH analogue finatseride is 5 alpha reductase inhibitor cyproterone- anti androgen with progestational properties (REF.Essential of medical pharmacology K D TRIPATHI 6 Edition, Page No - 239)